An 11 year child with failure to thrive, metabolic acidosis with increased anion gap. Not true regarding the differential diagnosis:
1. Insulin dependent diabetes mellitus
2. Chronic renal failure
3. Renal tubular acidosis
4. Inborn errors of metabolism

Correct answer: 3. Renal tubular acidosis

Explanation: Renal tubular acidosis - normal anion gap acidosis